For how long can a patient survive in anhepatic phase given full supportive treatment?
1. 1-2 hour
2. 24-48 hours
3. 1 week
4. 2-4 weeks

Correct answer: 2. 24-48 hours